Sabin - Feldman dye test is used in the diagnosis of
1. Toxoplasmosis
2. Toxocariosis
3. Cryptosporidiosis
4. Schistosomiasis

Correct answer: 1. Toxoplasmosis

Explanation: Sabin - Feld man dye test - Highly sensitive and specific in diagnosis of Toxoplasmosis. 
Patient serum + live tachyzoites+ complement + Methylene blue